The conjugation of bilirubin to glucuronic acid in the liver;
1. Converts a hydrophilic compound to a hydrophobic one
2. Converts a hydrophobic compound to a hydrophilic one
3. Enables the bilirubin molecule to cross the cell membrane
4. Is increased during neonatal jaundice

Correct answer: 2. Converts a hydrophobic compound to a hydrophilic one

Explanation: Ans. is 'b' i.e. converts a hydrophobic compound to a hydrophilic one.Ref: Harrison 16th/e p 239 (15th/e p 255)Bilirubin is produced in the reticuloendothelial cells of spleen and liver. This unconjugated bilirubin is not soluble in water so is bound to albumin for its transfer in plasma.Liver uptakes this unconjugated bilirubin and conjugates it with glucuronic acid generating bilirubin glucuronide which is water soluble.For more on this topic see Question no. 12 Nov. 1999